Which of the following antitubercular drugs are associated with hypothyroidism?
1. Ethionamide
2. Streptomycin
3. PZA
4. Rifampicin

Correct answer: 1. Ethionamide

Explanation: Ethionamide is thought to prevent organification of iodine in thyroid hormone synthesis, as it is structurally related to other thionamides (propylthiouracil and methimazole). So, it can lead to hypothyroidism.